According to floor space standards, the half unit is considered at child age of?
1. <12 months
2. 1-5 years
3. 1-10 years
4. 10-20 years

Correct answer: 3. 1-10 years

Explanation: Overcrowding is the situation in which more people are living in a single dwelling thanthere is space for so that,the movemwnt is restricted,privacy secluded,hygiene impossible,rest and sleep difficult. The accepted stardards are -persons per room -floor space: according to floor space standard baby under 12 months is not counted and 1- 10 years is cointed as half a unit -sex sepaeration Parks textbook of preventive and social medicine.K Park. Edition 23.Pg no: 752